DOC for a pregnant woman in 2" trimester with pustular psoriasis is
1. Prednisolone
2. Dapsone
3. Acitretin
4. Methotrexate

Correct answer: 1. Prednisolone

Explanation: A i.e. Prednisolone